Most common site of gall stone impaction in Cholecysto Intestinal fistula is
1. DJ junction
2. Proximal to ileo-cecal junction
3. Distal to ileo-cecal junction
4. Colon

Correct answer: 2. Proximal to ileo-cecal junction

Explanation: Ans. (b) Proximal to ileo cecal junctionRef: Sabiston 20th edition Page 1506Gallstone ileus:* MC site of obstruction is terminal ileum* Intermittent obstruction is seen* Pneumobilia is seen* 10% have multiple stones in small intestine